Which of the following is longest acting cholinesterase inhibitor used for myasthenia gravis?
1. Pyridostigmine
2. Edrophonium
3. Neostigmine
4. Physostigmine

Correct answer: 1. Pyridostigmine

Explanation: Both neostigmine and pyridostigmine are used in myasthenia gravis. Pyridostigmine is longer acting than neostigmine. These drugs act by inhibiting acetylcholinesterase. Edrophonium is very short acting anti-cholinesterase and is preferred drug for diagnosis of myasthenia gravis. Physostigmine is a lipid soluble anticholinesterase used in glaucoma and atropine poisoning.